Markedly inappropriate sensitivity, self-importance and suspiciousness are clinical features of -
1. Antisocial
2. Histrionic
3. Schizoid
4. Paranoid

Correct answer: 4. Paranoid

Explanation: Excessive suspiciousness is characteristic of Paranoid personality.
Many have a feeling of self-importance and think they are unusually talented.